The frequency of a disease or characteristic expressed per unit size of the population or group in which it is observed is
1. Rate
2. Ratio
3. Proportion
4. Average

Correct answer: 1. Rate